Candid infection is not seen in:
1. Median rhomboid glossitis
2. Geographic tongue
3. Oral thrush
4. Denture stomatitis

Correct answer: 2. Geographic tongue